Most common site of cholangiocarcinoma
1. Distal biliary tract
2. Hilum
3. Intrahepatic duct
4. Multifocal

Correct answer: 2. Hilum

Explanation: Cholangiocarcinoma Tumors arising from bile duct epithelium. Most common type is adenocarcinoma Differentiated by anatomic site of origin: Intrahepatic (10%), Hilar (65%), and distal (25%) MC gene mutation is K-ras >p16(KRAP-16) Ref: Sabiston 20th edition Pgno :1514-1518